Natural method of horizontal gene transfer among bacteria includes -a) Electroporationb) Transductionc) Transformationd) Conjugatione) Mutation
1. abc
2. acd
3. bcd
4. bd

Correct answer: 3. bcd